Double bubble sign seen in :a) Duodenal atresiab) Duodenal stenosisc) Volvulusd) Intestinal perforation
1. abc
2. bc
3. acd
4. bcd

Correct answer: 1. abc